Soap bubble appearance is seen in which meningo encephalitis
1. Cryptococcus
2. Mucormycosis
3. Tubercular
4. HSV

Correct answer: 1. Cryptococcus

Explanation: results from infection of the central nervous system with the yeast-like fungus Cryptococcus neoformans. It is the most common fungal infection and second most common opportunistic infection of the central nervous system. Gelatinous pseudocysts tend to give a "soap bubble" appearance on MRI Ref Harrison20th edition pg 2456